Cause of the xeroderma pigmentosum is?
1. Missense mutation
2. DNA rapair defect
3. Trisomy
4. Production of guanine guanine dimmers in DNA

Correct answer: 2. DNA rapair defect

Explanation: Ans. is 'b' i.e. DNA repair defect * Xeroderma pigmentosum is an autosomal recessive disease with defect in DNA repair. It is characterized by extreme sensitivity to sunlight. The enzymes affected in this condition are:1. UV specific endonuclease (most common)2. DNA polymerase I3. DNA ligase